A patient presents with breathlessness. He has bilateral basal crepitations, lung function tests reveal a decrease in total lung capacity (TLC) and vital capacity (VC) with normal FEV1 /FVC ratio. What is the most likely diagnosis?
1. Chronic bronchitis
2. Idiopathic pulmonary fibrosis
3. Cystic fibrosis
4. Allergic bronchopulmonary aspergillosis

Correct answer: 2. Idiopathic pulmonary fibrosis

Explanation: The presence of reduced TLC & VC points to Restrictive pattern and is confirmed by normal FEV1/FVC ratio. Cystic fibrosis & Chronic Bronchitis leads to Obstructive airway disease. ABPA causes central bronchiectasis and is a suppurative lung disease.